Gall stone can be which type of stone?
1. Triple phosphate stone
2. Oxalate stone
3. Cholesterol stone
4. Urate stone

Correct answer: 3. Cholesterol stone

Explanation: Cholesterol stones (cholesterol solitaire-radiating crystal line appearance) are formed when bile's supersaturated with cholesterol or bile acid concentrations are low.80% of gallstones are cholesterol/mixed stones in USA & Europe,whereas in Asia 80% are pigment stones.Cholesterol/mixed stones contain 51-99% pure cholesterol plus an admixture of calcium salts,bile acids,bile pigments & phospholipids. Reference:Bailey & Love's manual of surgery,25th edition,page no:1120.